Snow flake cataract is produced because of :
1. Aldose reductase
2. Galactose reductase
3. Fructose dehydrogenase
4. Alcohol dehydrogenase

Correct answer: 1. Aldose reductase

Explanation: In Diabetics, Excess Glucose freely enters the cells of eye which are highly permeable to glucose. Here glucose is reduced by Aldose Reductase enzyme to produce Sorbitol/ Polyol. Sorbitol is hygroscopic in nature and absorbs water. Swelling due to excess sorbitol in the lens will ultimate leads to Snowflake cataract.